Antimicrobial agent by inhibition of cell wall wall synthesis is
1. Erythromycin
2. Tetracycline
3. Lomefloxacin
4. Cefepime

Correct answer: 4. Cefepime

Explanation: Refer KDT 6/e p 668 Cefepime is a beta lactam antibiotic It acts by inhibiting cell wall synthesis